Root canal is flooded with antiseptic so as to:
1. Prevent the removal of the shavings from the root canal
2. Where there is an absence of instrumentation
3. Prevent infection during instrumentation
4. Avoid instrumentation

Correct answer: 3. Prevent infection during instrumentation